Hopkins-Cole test is performed on proteins to detect the presence of
1. Imidazole group
2. Indole group
3. Guanidine group
4. Phenolic group

Correct answer: 2. Indole group